Commonest cause of Cushing syndrome is
1. Adrenal adenoma
2. Carcinoma
3. Atrophy
4. Hyperplasia

Correct answer: 4. Hyperplasia

Explanation: MC cause of Cushing's syndrome is iatrogenic exogenous administration of steroids. MC endogenous cause of Cushing's syndrome is bilateral adrenal hyperplasia secondary to hypersecretion of ACTH from pituitary or from an ectopic non-pituitary source